Specificity is related to:
1. True positive
2. True negative
3. False positive
4. False negative

Correct answer: 2. True negative

Explanation: Ans. is 'b' ie true negatives Sensitivity -is defined as the ability of a test to identify correctly those who have the disease that is 'true positives \Specificity -is defined as the ability of a test to identify correctly those who do not have the disease. That is 'true negatives.9